A 61-year-old man was hit by the cricket bat in the mid-humeral region of his left arm. Physical examination reveals an inability to extend the wrist and loss of sensation on a small area of skin on the dorsum of the hand proximal to the first two fingers. What nerve supplies this specific region of the hand?
1. Radial
2. Posterior interosseous
3. Lateral antebrachial cutaneous
4. Medial antebrachial cutaneous

Correct answer: 1. Radial

Explanation: The patient has suffered injury to the radial nerve in the mid-humeral region. The nerve that provides sensation to the dorsum of the hand proximal to the thumb and index finger is the superficial branch of the radial nerve. The posterior interosseous nerve supplies a strip of skin on the back of the forearm and wrist extensors. The lateral antebrachial cutaneous nerve is a continuation of the musculocutaneous nerve and supplies the lateral side of the forearm. The medial antebrachial cutaneous is a direct branch of the medial cord and supplies skin of the medial side of the forearm. The dorsal cutaneous branch of the ulnar nerve supplies the medial side of the dorsum of the hand.